NOT used in scabies?
1. BHC
2. Permethrin
3. Ciclopirox oleamine
4. Crotamiton

Correct answer: 3. Ciclopirox oleamine

Explanation: Ans. is 'c' i.e. Ciclopirox oleamine Scabies is caused by a mite (Sarcoptes Scabiei var hominis) specific for human.Scabicide used in the tIt of scabiesScabicideMethod of useComments* Permethrin (5%)1 application * Benzyl benzoate3 application atIrritation 12 hourly intervals * Gamma benzene hexachloride (BHC) (1%)1 applicationSeizures* Crotamiton 10%2 applications daily x 14 duseful in children mild antipruritic* IvermectinSingle oral dose 200 mg/kg body weight